Father's blood group is 'A' & mother's blood group is ' AB\ Which of the following blood group is not possible in any of their child?
1. A
2. B
3. AB
4. O

Correct answer: 4. O

Explanation: Ans. is 'd' i.e.,OBlood group inheritance by phenotypeBlood group (Parents)OABABOOO or AO or BA or BAO or AO or AO, A, B, or ABA,B orABBO or BO, A, B or ABO or BA, B or ABABA or BA, B or ABA, BorABA, B or AB